All of the following are true about Trichinella spiralis except
1. Man is an accidental host and acts as dead end
2. Transmitted by ingestion of raw or uncooked pork
3. Most common muscle involved is extraocular muscles
4. Fairley's test is the intradermal test done

Correct answer: 4. Fairley's test is the intradermal test done

Explanation: Bachman intradermal test is done for Trichinella Spriralis.